Which of the following muscle cause hip extension and knee flexion ?
1. Semitendinosus
2. Gastrosoleus
3. Psoas major
4. Tensor Fascia lata

Correct answer: 1. Semitendinosus

Explanation: Ans. is'a' i.e.. SemitendinosusSemitendinosus is hamstring muscle.Causes flexion at knee & extension at hip.